Epithelial lining of conjunctiva is:
1. Squamous keratinized
2. Pseudo-stratified
3. Cuboidal
4. Stratified squamous non-keratinized

Correct answer: 4. Stratified squamous non-keratinized

Explanation: Ans. D: Stratified squamous non-keratinized The conjunctiva is a clear mucous membrane consisting of cells and underlying basement membrane that covers the sclera and lines the inside of the eyelids.